The most common site of bleeding in Hemoptysis is
1. Tracheobronchial tree
2. Pulmonary Parenchyma
3. Pleural Disease
4. All of the above

Correct answer: 1. Tracheobronchial tree

Explanation: Answer is A (Tracheobronchial tree): The most common source of hemoptysis is the tracheobronchial tree. The most common site of hemoptysis within the tracheobronchial tree are small to medium sized airways. The most common site of bleeding is the tracheobronchial treeQ The most common site of hemoptysis is bleeding from the small to medium sized airways Q